Choose the true statement about mit DNA:
1. Few mutation compared to nuclear DNA
2. It has 3x109 base pairs
3. It receives 23 chromosomes from each parent
4. It codes for less than 20% of the proteins involved in respiratory chain

Correct answer: 4. It codes for less than 20% of the proteins involved in respiratory chain

Explanation: Ans. D. It codes for less than 20% of the proteins involved in respiratory chainIn ETC there are around 67 subunits, out it 13 proteins are coded by Mit DNA, which comes around 19%.Mitochondrial DNA has high mutation rate almost 5 to 10 times that of nuclear DNA.It has 16,569 bpMitochondrial DNA has maternal inheritance